Misconduct in public by a drunken person is defined under section
1. 377IPC
2. 497IPC
3. 498IPC
4. 510IPC

Correct answer: 4. 510IPC

Explanation: IPC section Sections in deal with 377 unnatural sexual offence 497 adultery 510 misconduct in public by drunken person A five judge Constitution bench of the Supreme Court deals with adultery Refernce :Textbook of Forensic medicine and toxicology page number 211